The type of fibrous element in enamel is :
1. Tono filament
2. Keratin like fibre
3. Collagen fibre
4. Vimentin filament

Correct answer: 2. Keratin like fibre